The earliest immunoglobulin to be synthesized by the fetus is -
1. IgA
2. IgG
3. IgE
4. IgM

Correct answer: 4. IgM

Explanation: Option 1, 3, 4 IgM: IgM is the first immunoglobulin to be synthesized by a neonate in about 20 weeks of age. IgM is not transported across the placenta; hence, the presence of IgM in the fetus or newborn indicates intrauterine infection. The first immunoglobulin produced in response to an antigen is IgM. after 3 monts of birth class switching is started and then other class of immunoglobulins are synthesised. IgM is secreted as a pentamer and is composed of five H2L2 units (similar to one IgG unit) and one moleculeof a J chain.. It is the most efficient Because its interaction with antigen can involve all 10 binding sites, it has the highest binding capacity and cross-linking of all the immunoglobulins. Option 2 IgG is the only immunoglobulin class to cross the placenta and therefore is the most abundant immunoglobulinin newborns.( this is not the the first to be synthesised in newborn)